Paragangliomas may show production of -
1. ACTH
2. Catecholamines
3. GH
4. ADH

Correct answer: 2. Catecholamines

Explanation: When pheochromacytomas arise at extra-adrenal site, they are referred to as paraganglioma.
Paravertebral paragangliomas secrete catecholamines.
Note -chemodectomas usually do not secrete catecholamines.